The maximum amount of amniotic fluid in normal pregnancy is :
1. 500ml
2. 800ml
3. 1000ml
4. 1500ml

Correct answer: 3. 1000ml

Explanation: Amniotic fluid volume is related to gestational age It measures about 50 ml at 12 weeks , 400 ml at 20 weeks It reaches it's peak of 1 liter at 36-38 weeks Ref: Dutta Obs 9e pg 34.